Dextromethorphan is an :
1. Antihistaminic
2. Antitussive
3. Expectorant
4. Antiallergic

Correct answer: 2. Antitussive